Complication of vernal kerato conjunctivitis –
1. Cataract
2. Keratoconus
3. Retinal detachment
4. Vitreous hemorrhage

Correct answer: 2. Keratoconus

Explanation: Visual loss in vernal keratoconjunctivitis is associated with corneal complications, like corneal scar, keratoconus & irregular astigmatism, as well as complications of topical corticosteroids.